Most common site of cerebral infarction is in the territory of
1. Anterior cerebral artery
2. Middle cerebral artery
3. Posterior cerebral artery
4. Posterior inferior cerebellar artery

Correct answer: 2. Middle cerebral artery

Explanation: Ans. is 'b' i.e., Middle cerebral artery